The treatment of choice for silent stones in Gall bladder is -
1. Observation
2. Chenodeoxy cholic acid
3. Cholecytectomy
4. Lithotripsy

Correct answer: 1. Observation

Explanation: Ans is 'a' i.e., Observation